Adams cribs can fracture in use if the
1. Wire is too soft
2. Tags are high on the bite
3. Base plate is too thick
4. Arrowheads are too small

Correct answer: 2. Tags are high on the bite